True about nerve fiber C is
1. Most susceptible to hypoxia
2. Unmyelinated
3. Preganglionic autonomic
4. Not for temperature and pain senses

Correct answer: 2. Unmyelinated

Explanation: SPECIAL FEATURES
1)  Susceptibility to 
A) Hypoxia                     B > A > C
B) Pressure                    A > B > C
C) Local Anasthesia      C > B > A
2) Diameter
A alpha > A beta > A gamma > A delta > B > C
3) Velocity
A alpha > A beta > A gamma > A delta > B > C
4) a)Large axons are associated with  

Proprioception
Somatic motor
Touch
Pressure

b) Small axons are associated with 

Pain
Temperature
Autonomic function

5) a) Velocity is directly dependent on

Myelination, Diameter and capacitance

b) Velocity is inversely dependent on

Resistance